A 31 year old female patient complains of bilateral impairment of hearing for the 5 year. On examination, tympanic membrane is normal and audiogram shows a bilateral conductive deafness. Impedance audiometry shows As type of curve and acoustic reflexes are absent. All constitute part of treatment, except:
1. Hearing aid
2. Stapedectomy
3. Sodium fluoride
4. Gentamicin

Correct answer: 4. Gentamicin

Explanation: Gentamicin is used to treat Meniere's disease.